Regulation of coronary circulation is?
1. Autonomic
2. Autoregulatory
3. Hormonal
4. Sympathetic

Correct answer: 2. Autoregulatory

Explanation: The caliber of the coronary vessels, and consequently the rate of coronary blood flow, is influenced not only by pressure changes in the aorta but also by chemical and neural factors. The coronary circulation shows considerable autoregulation.Ref: Ganong's Review of Medical Physiology Twenty-Third Edition Page No: 579